Mandible is comonly fractured ?
1. At the neck of the condyle
2. Through the angle
3. Through the cannine fossa
4. At the middle

Correct answer: 1. At the neck of the condyle

Explanation: Ans. is 'a' i.e., At the neck the condyle